All of the following are true about iodinated intravascular contrast media except –
1. They are used in digital subtraction angiography
2. They are radio opaque
3. They can cause anaphylactic reactions
4. They are used in magnetic resonance imaging

Correct answer: 4. They are used in magnetic resonance imaging

Explanation: MRI functions through different principles and thus utilizes different contrast agents. Gadolinium is the most commonly used contrast in MRI.
Both gadolinium-based and iodinated contrast media are used for digital subtraction angiography.
Radiocontrast agents are radiopaque.
Radiocontrast agents are excreted by the kidney.
Radiocontrast agents can cause anaphylactoid reaction and nephropathy.